Keratoderma blenorrhagica is found in:
1. Reiter's syndrome
2. Psoriasis
3. Lichen Planus
4. Bechet syndrome

Correct answer: 1. Reiter's syndrome

Explanation: Keratoderma blenorrhagica associated with Reiters disease (Reactive arthritis) -HLA B 27 Clinical features: CUBIKA C- Conjunctivitis U- Urethritis B- Balanitis I- Iritis K- Keratoderma blenorrhagica A- Arthritis Ritter disease Aka Pemphigus neonatarum - SSSS - Staph aureus Keratoderma belanorrhagica - Thick skin over palm and sole